Malignant tumor associated with Waldenstrom macroglobulinemia includes -
1. Smoldering myeloma
2. Primary effusion lymphoma
3. Mycosis fungoides
4. Lymphoplasmacytic lymphoma

Correct answer: 4. Lymphoplasmacytic lymphoma

Explanation: Waldenstrom macroglobulinemia is a syndrome in which high levels of IgM lead to symptoms related to hyperviscosity of the blood. It occurs in older adults , most commonly associated with lymphoplasmacytic lymphoma. Smoldering myelomas an uncommon variant of multiple myeloma defined by a lack of symptoms and a high plasma M component. Primary effusion lymphoma presents as a malignant pleural or ascitic effusion in patients with advanced HIV and older adults. Mycosis fungoides is a slowly evolving cutaneous T cell lymphoma occuring in middle aged adult males. Reference; Robbins and Cotran Pathologic basis of disease.South Asia Edition volume 1.page no. 596,598 Harsh Mohan textbook of pathology, 7th edition.Pg no.359